The most common site for nasopharyngeal carcinoma -
1. Nasal septum
2. Fossa of rosenmuller
3. Vault of nasopharynx
4. Antero-superior wall

Correct answer: 2. Fossa of rosenmuller

Explanation: The commonest site of origin of nasopharyngeal carcinoma is fossa of Rosenmuller in the lateral wall of the nasopharynx.